The overbite-overjet relations of anterior teeth are determined primarily by esthetics and
1. Phonetics
2. Mastication
3. Pouting
4. Modiolus

Correct answer: 1. Phonetics